Cataract is caused by al! except:
1. Ultraviolet radiation
2. M RI
3. Infrared radiation
4. Microwave radiation

Correct answer: 2. M RI

Explanation: Ans. M RI